Long term use of which of the following drug is most likely associated with development of tremors?
1. Propofol
2. Salbutamol
3. Betaxolol
4. Timolol

Correct answer: 2. Salbutamol

Explanation: Salbutamol is beta-2 agonist, preferred in acute bronchial asthma attackMost common side effect associated with the agent is Tremor